Hardness of fully mineralized cementum is
1. Less than dentin
2. More than dentin
3. Equal dentin
4. None of the above

Correct answer: 1. Less than dentin